For strength and rigidity, the vertical height of a finished
lingual bar should be at least
1. 6mm
2. 7mm
3. 4mm
4. 5mm

Correct answer: 3. 4mm